Spider neavi is a feature of
1. Nephrotic syndrome
2. Hypothyroidism
3. Tuberculosis
4. Chronic liver disease

Correct answer: 4. Chronic liver disease

Explanation: Spider naevi

Oral contraceptive loops
Chronic liver disease
Thyrotoxicosis.